Which one of the following indicators does not include the value of a person's height in its formula?
1. Quetelet's Index
2. Ponderal index
3. Lorentz's formula
4. Corpulence index

Correct answer: 4. Corpulence index

Explanation: park's textbook of preventive and social medicine 23rd edition. *corpulence index: actual weight/ desirable weight. *lorent'z formula: ht -100 -(ht - 150/2)=women. :ht-100-(ht-150/4)=men. *ponderal index:ht/cube root of body at. *quetelet's index:wt/_ht square.